Which of the following aminoglycosides is not available for parenteral use?
1. Sisomycin
2. Amikacin
3. Framycetin
4. Gentamycin

Correct answer: 3. Framycetin

Explanation: Ans. is 'c' i.e., Framycetin o Systemic aminoglycosides - Streptomycin, Amikacin, Gentamycin, Sisomicin, Kanamycin, Netilmicin. o Topical aminoglycosides - Neomycin, Framycetin.